A 22-year-old woman develops an acute contact dermatitis to a household-cleaning agent. Which of the following treatments is most appropriate during the bullous, oozing stage?
1. wet dressings
2. systemic corticosteroids
3. topical anesthetics
4. systemic antibiotics

Correct answer: 1. wet dressings

Explanation: Ointments are not used, but wet dressings are applied several times a day, using Burow solution or boric acid, and baths are also included in the treatment. The key aspect of care is prevention. When contamination does occur, washing the affected area is the first mode of treatment. Oral corticosteroids are only used in severe cases. In less severe cases, topical class I glucocorticoid preparations can be helpful.